Amount of fat is maximum in which milk:
1. Cow
2. Buffalo
3. Human
4. Goat

Correct answer: 2. Buffalo

Explanation: Amount per 100 ml Cow's milk Human milk Buffalo milk Goat milk Fat 4.1 g 3.4 g 6.5 g 4.5 g Protein 3.3 g 1.1 g 4.3 g 3.3 g Lactose 4.4 g 7.4 g 5.1 g 4.6 g Ref: Park, 22nd edition pg: 584